The following are features of catatonic schizophrenia, except:
1. Mutism
2. Echolalia
3. Waxy flexibility
4. Deep tendon reflexes are increased

Correct answer: 4. Deep tendon reflexes are increased

Explanation: Catatonic schizophrenia - characterized by predominant catatonic symptoms Catatonic symptoms Stupor - state of unresponsiveness Catalepsy - passive induction of a posture held against gravity Waxy flexibility - slight, even resistance to positioning by examiner Mutism - no or very little verbal response Negativism - opposition or no response to external stimuli Posturing - maintain same posture for long duration Mannerism -odd, circumstantial caricature of normal actions Stereotypy - repetitive no -goal- directed movements Agitation - not influenced by external stimuli Grimacing Echolalia - mimicking's another's speech Echopraxia - mimicking 's another 's movements